What is the body temperature range to categorize a neonate as having cold stress?
1. 35.4-36.0 C
2. 33.4-34 C
3. 34.4-35.4 C
4. 36.0-36.4 C

Correct answer: 4. 36.0-36.4 C

Explanation: A temperature of 36 to 36.4oC categorizes a neonate as having cold stress. An infant's normal body temperature of <36.5oC. Temperature is measured in the apex of the baby's axilla by holding the thermometer for at least 3 minutes Hypothermia is an axillary temperature of <36.5oC Cold stress: 36.0 to 36.4oC Moderate hypothermia: 32 to 35.9oC Severe hypothermia: <32oC Hyperthermia is axillary temperature of >37.5oC Ref: Ghai essential pediatrics 9th edition pgno: 143